Point shource epidemic is -
1. Short term fluctuation
2. Periodic fluctuation
3. Long term fluctuation
4. Secular trend

Correct answer: 1. Short term fluctuation

Explanation: Ans. is 'a' i.e., Short term fluctuation * Point source (single exposure) epidemic is short term fluctuation.* There are three kinds of time trends or fluctuations in disease occurenceA. Short term fluctuations - epidemics.B. Secular trends or long term fluctuations.C. Periodic fluctuation.